Swelling of deep lobe of parotid gland presents as swelling in:
1. Parapharyngeal space
2. Cheek
3. Temporal region
4. Below the ear

Correct answer: 1. Parapharyngeal space

Explanation: Ans. (a) Parapharyngeal spaceRef: Bailey and Love 26th edition - Page 734* Deep lobe tumors of Parotid gland appear as swelling in parapharyngeal space.* MRI is used to diagnose that lesions arise from Parotid.